Inverse glaucoma occurs in:
1. Spherophakia
2. Lenticonus
3. Subluxated lens
4. All of the above

Correct answer: 1. Spherophakia

Explanation: Ans. Spherophakia